Predisposing factors for esophagal cancer is all except
1. Mediastinal fibrosis
2. Diverticula
3. Caustic alkali burn
4. HPV

Correct answer: 1. Mediastinal fibrosis

Explanation: Refer Robbins page no 758-759 External beam irradiation but not mediastainal fibrosis is a risk factor for esophagal cancer *HPV DNA is found frequently in esophagal squamous cell carcinoma in high incidence